What is the rate of cervical dilatation in first stage of labor in multigravidae?
1. 0.5 cm/hour
2. 1 cm/hour
3. 1.5 cm/hour
4. 2 cm/hour

Correct answer: 3. 1.5 cm/hour

Explanation: Ans. C. 1.5cm/houra. Cervical dilatation related with dilatation of external OS.b. Taking up of cervix is determined by obliteration of projection of cervix into vagina.c. The anterior lip of cervix is the last to be affected.d. Cervical dilatation is expressed either in terms of fractions of full dilatation 1/4th;1/2 or 3/4th OR in terms of fingers -2,2,3 or fully dilated; OR better in terms of cm (10cm when fully dilated). One finger equals to 1.6cm and taking up in terms of % fraction.e. In primi, latent phase is long (8hrs). Dilatation of cervix at rate of 1.2cm/hour in primi and 1.5cm in multi beyond 3cm dilatation is satisfactory.f. Partogram (Freidman's Curve) is composite graphical record of so dilatation and descent of head against duration of labor in hrs.